The major regulator of platelet production is the hormone thrombopoietin (THPO), which is produced by
1. Kidneys
2. Liver
3. Liver and kidneys
4. Spleen and lymph nodes

Correct answer: 3. Liver and kidneys

Explanation: Thrombopoietin (THPO) also known as megakaryocyte growth and development factor (MGDF) is a protein that in humans is encoded by the THPO gene.Thrombopoietin is a glycoprotein hormone produced by the liver and kidney which regulates the production of platelets. It stimulates the production and differentiation of megakaryocytes, the bone marrow cells that bud off large numbers of platelets.Ref: Ganong's review of medical physiology;24th edition; page no-80